All of the the following statement (s) is/are true except:
1. Denever group F-contain X chromosome
2. Denever group C-contain X chromosome
3. Denever group G-contain acrocentric chromosome
4. Bar body is inactive X chromosome

Correct answer: 1. Denever group F-contain X chromosome

Explanation: Answer- (A) Denever group F-contain X chromosomeThe classification of chromosomes based on Denver group classificationChromosome ClassSizeRelative Position of CentromereGroup A (1-3)Group B (4-5)Group C (6-12,X)Group D (13-15)Group E (16-18)Group F (19-20)Group G (21-22,Y)LargeLargeMediumMediumRelatively shotshoShoMetacentricSubmetacentricSubmetacentricAcroentricSubmetacentricMetacentric or SubmetacentricAcroentric